Part of neural tube from which corpus callosum develops
1. Lamina terminalis
2. Basal lamina
3. Alar lamina
4. Roof plate

Correct answer: 1. Lamina terminalis

Explanation: Initially, corpus callosum forms a small bundle in the lamina terminalis and later extends first anteriorly and then posteriorly, arching over the thin roof of the diencephalon. It connects the nonolfactory areas of the right and the left cerebral cortices. Ref: Gray's39e/p-518